Kostmann's syndrome-treatment is
1. Anti-thymocyte globulin + cyclosporin
2. Anti-thymocyte globuline + cyclosporine + GM-CSF
3. G-CSF
4. GM-CSF

Correct answer: 3. G-CSF

Explanation: kostmann syndrome characterized by hereditary neutropenia and treatment of choice is administration of granulocyte colony stimulating factor. Severe Congenital Neutropenia (Kostmann's Syndrome) * Clinical manifestations: Chronic severe neutropenia present at birth Accumulation of granulocytic precursors in the bone marrow Recurrent infections * Treatment with G-CSF -- Reduces infections and improves survival * Marked propensity to develop acute myeloid leukemia or myelodysplasia Reference: GHAI Essential pediatrics, 8th edition